Flaying is seen in which type of lacerated wound.
1. Split
2. Stretch
3. Avulsion
4. Cut

Correct answer: 3. Avulsion

Explanation: Incised looking laceration

Laceration looking like an incised wound (Margins appears to be regular and clean cut).
Sites : Skin, scalp, eyebrows, cheek bones, iliac crust, knee and perineum.
Can be differentiated from incised wound by careful examination with magnifying lens.

Avulsion laceration:

Also called as shearing laceration.
Run over injuries Eg: lorry wheel passes over a limb.
Flapping / Flaying: A flap pf tissues is tripped off from the underlying bone.
Direction of flop - direction of force.